World health day is celebrated on which of the following day?
1. 1st December
2. 31st May
3. 7th April
4. 8th May

Correct answer: 3. 7th April

Explanation: World health day is celebrated in 7thof April every year as a birth date of world health organization. Each year a theme is is selected for World Health Day that highlights a priority area of concern for WHO. - Theme for 2010 was Urbanization and health - Theme for 2011 was antimicrobial resistance and its global spread.